Pontiac fever is caused by:
1. Marbug virus
2. Legionella
3. Tuberculosis bacilli
4. Sindbis virus

Correct answer: 2. Legionella

Explanation: - Legionellosis- Pontiac fever & Legionnaires' disease Pontiac fever is an acute, febrile, self-limited illness that has been serologically linked to Legionella species Legionnaires' disease is pneumonia caused by these species.